Methemoglobinemia is seen with
1. Tetracaine
2. Prilocaine
3. Bupivacaine
4. Procaine

Correct answer: 2. Prilocaine

Explanation: Methemoglobinemia is seen with benzocaine, prilocaine and with EMLA.